Hemolytic anemia are associated with all of the following, except:
1. Increased indirect bilirubin in the serum
2. Decreased red cell survival
3. Increased number of reticulocytes
4. Decreased fecal Urobilinogen

Correct answer: 4. Decreased fecal Urobilinogen

Explanation: Haemolytic anemia is characterized by: hemoglobinuria increased reticulocyte count unconjugated hyper-bilirubinaemia increased LDH increased fecal urobilinogen polychromatophilia bone marrow erythroid hyperplasia.